Target element used in mammography is?
1. Copper
2. Tungsten
3. Molybdenum
4. Aluminum

Correct answer: 3. Molybdenum

Explanation: ANSWER: (C) MolybdenumREF: Sutton's Radiology 7th edition, volume 2, page 1451"The most commonly used target-filter combination is a molybdenum (Mo) target with 0.03 mm Mo filter"